Corneal thickness is measured using -
1. Pachymetry
2. Keratometer
3. CT scan
4. Aesthisiometry

Correct answer: 1. Pachymetry

Explanation: Ans. is 'a' i.e., Pachymetry o Corneal Pachymetry: It is the method to measure the corneal thicknesso The following are the other methods of measuring corneal thickness:a) Ultrasoundb) Ultrasound biomicroscopy and very high frequency ultrasoundc) Optical slit lamp pachymetryd) Specular microscopy basede) Scanning slit based Orbscanf) Optical Coherence Tomography (OCT)g) Optical low coherence reflectometryh) Confocal microscopy through focusingi) Laser Doppler interferometry